If circumflex artery gives the posterior interventricular branch, this circulation is described as aEUR'
1. Right dominance
2. Left dominance
3. Codominance
4. Undetermined

Correct answer: 2. Left dominance

Explanation: Left dominance Dominance of the coronary arterial system depends on which artery gives rise to the posterior interventricular branch (posterior descending artery). This branch supplies adjacent areas of both ventricles and posterior third of the IV septum.Right dominance: In this more conzmon type the posterior interventricular artery is a brute of . coronary artery. Seen in 67 to 90% of the population (67% according to Moore's 5/e and 90% according to Snell's 6/e and BDC 4/e, and some middle values on internet)Left dominance: The circumflex artery, the continuation of left coronary provides the post. IV branch (Seen in 10 to 15%)Codominance/balanced: Branches of both right and left coronary artery run in or near the sulcus.Note that the term 'Right dominance' is misleading, since the left artery almost always supplies a greater volume of tissue.